Contrast induced nephropathy defined as:
1. Rise in Serum Creatinine by 0.5 mg in 48 hours
2. Rise in Serum Creatinine by 1 mg in 48 hours
3. Rise in Serum Creatinine by 1.5 mg in 48 hours
4. Rise in Serum Creatinine by 2 mg in 48 hours

Correct answer: 1. Rise in Serum Creatinine by 0.5 mg in 48 hours

Explanation: Contrast Induced nephropathy: Rise in Serum Creatinine by 0.5 mg in 48 hours or 25% from baseline within 48-72 hours from IV Contrast. Most important step in Management of Contrast Induced nephropathy: HYDRATION.